Sensory supply of larynx, below the vocal cord
1. Superior laryngeal nerve
2. Inferior laryngeal nerve
3. Recurrent laryngeal nerve
4. Internal laryngeal nerve

Correct answer: 3. Recurrent laryngeal nerve

Explanation: Sensory supply: The internal laryngeal nerve supplies the mucous membrane upto the level of the vocal folds. The recurrent laryngeal nerve supplies it below the level of the vocal folds. Ref: BD Chaurasia's HUMAN ANATOMY, Volume 3, 4th edition.